Which statement is true regarding Ventouse (vacuum extractor) :
1. Minor scalp abrasion and Subgaleal hematomas in newborn are more frequent than forceps
2. Can be applied when fetal head is above the level of ischial spine
3. Maternal trauma is more frequent than forceps
4. Cannot be used when fetal head is not fully rotated

Correct answer: 1. Minor scalp abrasion and Subgaleal hematomas in newborn are more frequent than forceps

Explanation: Maternal trauma is less in vacuum than in forceps. Vacuum promote autorotation. So, it can be used in unrotated or malrotated occipitoposterior position of the head Ref: Dutta Obs 9e pg 539.